Zenkers degeneration is?
1. Coagulative necrosis
2. Liquefactive necrosis
3. Fibroid necrosis
4. Caseous necrosis

Correct answer: 1. Coagulative necrosis

Explanation: Zenkers degeneration is a severe waxy hyaline degenration or necrosis of skeletal muscles in acute infectious diseases like typhoid. It is a prototype of coagulative necrosis.